The thickness of the cornea is best detected by-
1. Keratometry
2. Pachymetry
3. Placido disc
4. Tonometry

Correct answer: 2. Pachymetry

Explanation: Ans. (b) PachymetryRef: A.K. Khurana 6th ed. 195-96, Khurana 4th ed./89* Corneal thickness is measured by the method known as pachymetry. Normal corneal thickness is around (0.52 mm - 0.7 mm) 500 - 700 pm.Also Know* PLACIDO DISC- for corneal surface* Keratometry- Corneal curvature* Tonometry- for IOP